In EPT most efficient site of testing for posterior is:
1. Cusp tip of the mesiobuccal cusp
2. Cusp tip of the mesiolingual cusp.
3. Equal over all the cus tips.
4. None.

Correct answer: 1. Cusp tip of the mesiobuccal cusp

Explanation: For incisors- incisal edge is the most efficient site.
For posteriors- mesiobuccal cus tip is the best site.